Topical azelaic acid is used in –
1. Hyperpigmentary disorders
2. Dermatophyte infections
3. Vitiligo
4. Mixed infections

Correct answer: 1. Hyperpigmentary disorders

Explanation: Azelaic acid is a depigmenting agent. Other depigmenting agents are hydroquinone, retinoic acid, kozic acid, glycolic acid, monobenzyl ether of hydroquinone.